Which of the following is/ are a reversible MAO-B inhibitor used in treatment of parkinsonism?
1. Selegiline
2. Safinamide
3. Rasagiline
4. All of the above

Correct answer: 2. Safinamide

Explanation: Selegiline and rasagiline are relatively selective suicide inhibitors/ irreversible inhibitors of the MAO-B isoform of the enzyme. Clinically, these agents provide antiparkinsonian benefits when used as monotherapy in early disease stages and reduced "off" time when used as an adjunct to levodopa in patients with motor fluctuations. MAO-B inhibitors are generally safe and well tolerated. Safinamide is a reversible MAO-B inhibitor that has recently been approved as an adjunct to levodopa in advanced PD patients with motor fluctuations. The drug also acts to block activated sodium channels and inhibit glutamate release, and is currently being studied as a possible antidyskinetic agent. Ref harrison 20th edition page 3128